Neostigmine can reverse the effect of muscle relaxants in all of the below conditions except
1. Blockade by Non Depolarizing muscle relaxants
2. Phase 1 block by Depolarizing muscle relaxants
3. Phase 2 block by Depolarizing muscle relaxants
4. All of the above

Correct answer: 2. Phase 1 block by Depolarizing muscle relaxants

Explanation: Neostigmine is an anticholinesterase used to reverse effects of muscle relaxants in all of the above conditions except for Phase 1 block by depolarizing muscle relaxants.